Endocrine  functions  associated  with  kidney  include  all  of  the  following   except:
1. Erythropoietin secretion
2. Natriuretic peptide secretion
3. 1,25 dihydroxy cholecalciferol formation
4. Renin secretion

Correct answer: 2. Natriuretic peptide secretion

Explanation: The kidneys produce three hormones: 1,25-dihydroxycholecalciferol, renin and erythropoietin. Natriuretic peptides are substances secreted by the heart.